In reconstruction of limb. What is done first?
1. Bone fixation
2. Artery anastomosis
3. Nerve repair
4. Vein repair

Correct answer: 1. Bone fixation

Explanation: The order of repair for the various structures is based on surgeon preference and the specific patient.The preferred sequence is bone repair followed by extensors, veins, dorsal skin, arteries, nerves, and flexors because this sequence allows efficient repair of all the dorsal structures and then the volar structures. If the warm ischemia time is unusually long, the arteries can be repaired earlier.THUS THE ORDER IS BONE /VEINS/ARTERIES/NERVES AND THAN TENDONS REMEMBER SKIN COVERAGE IS A MUST